What is the Drug of choice for trichomonas vaginalis?
1. Fluconazole
2. Metronidazole
3. Azithromycin
4. Nevirapine

Correct answer: 2. Metronidazole

Explanation: Ans. B. MetronidazoleTrichomoniasis is treated with an oral antiprotozoal medicine, such as metronidazole or tinidazole. The medicine is taken either as a single dose or as multiple doses. The cure rate in treating Trich using metronidazole is 90% to 95%. The cure rate using tinidazole is 86% to 100%. Sex partner(s) should be treated at the same time. This increases the cure rate and reduces the possibility of further transmission or reinfection. Sexual intercourse should be avoided during treatment until symptoms have gone away and until partners have been treated. Male partners may not have symptoms but still need treatment.